For long span distal extension bases where rigidity is critical the major connector of choice is:
1. Palatal strap
2. Antero posterior palatal bar
3. Closed horse shoe
4. Horse shoe

Correct answer: 3. Closed horse shoe